Which of the following doesn't show pleural effusion with low glucose levels?
1. Rheumatoid arthritis
2. Empyema
3. Dressler's syndrome
4. Malignancy

Correct answer: 3. Dressler's syndrome

Explanation: Low glucose is seen in option rheumatoid arthritis, empyema, and malignancy. Hemorrhagic pleural effusion is seen in Trauma, Tumor and TB. Dressler's syndrome is a type of pericarditis, inflammation of the sac surrounding the heart (pericardium). Inflammation associated with Dressler's syndrome is believed to be an immune system response following damage to heart tissue or the pericardium, such as a heart attack, surgery or traumatic injury.